Which of the following is the most sensitive clinical sign for detection of developmental dysplasia of the hip (DDH) in a baby aged 6 months?
1. Galeazzi test.
2. Asymmetric skin folds in the thighs.
3. Limited hip abduction in flexion.
4. Ortolani's test.

Correct answer: 3. Limited hip abduction in flexion.

Explanation: Ans. C. Limited hip abduction in flexion.Less than 60 degree of abduction at 90 degree of hip flexion is the most sensitive clinical test especially in the older child (>3 months) when the Barlow and Ortolani tests become less reliable. Neither the Barlow nor the Ortolani test will detect an irreducible dislocated hip. The Galeazzi test may reveal unilateral shortening but this may be attributable to causes other than DDH (for example congenital coxa vara). False-negative results are seen in cases of bilateral DDH (20% of DDH cases). Asymmetric skin folds are non-specific and seen in 25% of normal babies.